Drug of choice for syphilis in a pregnant lady is:
1. Penicillin
2. Azithromycin
3. Tetracycline
4. Ceftriaxone

Correct answer: 1. Penicillin

Explanation: Penicillin was the first antibiotic to be used clinically in 1941 . It is a miracle that th<&; least toxic drug of its kind was the first to be discovered. It was originally obtained from the fungus Penicillium notatum, but the present source is a high yielding mutant of P. chrysogenum. When diagnosed and treated in its early stages, syphilis is easy to cure. The preferred treatment at all stages is penicillin, an antibiotic medication that can kill the organism that causes syphilis. If you're allergic to penicillin, your doctor will suggest another antibiotic. Penicillin is the only recommended treatment for pregnant women with syphilis. Women who are allergic to penicillin can undergo a desensitization process that may allow them to take penicillin. Even if you're treated for syphilis during your pregnancy, your newborn child should also receive antibiotic treatment. REFERENCE: ESSENTIALS OF MEDICAL PHARMACOLOGY, www.mayoclinic.org